diastatic fracture is fracture most commonly along the which suture line ?
1. saggital sutures
2. frontal sutures
3. occipital sutures
4. none of the above

Correct answer: 1. saggital sutures

Explanation: Distatic Fractures : m/c along saggital sutures * when the fracture line transverses one or more sutures of the skull causing a widening of the suture usually seen in infants and young children as the sutures are not yet fused * it can also occur in adults usually affects the lamboidal suture does not fully fuse in adults until about the age of 60. * Sutural diastasis may also occur in various congenital disorders such as cleidocranial dysplasia and osteogenesis imperfecta ref : naryanareddy 9th ed